Tiny cafe-au-lait spots in the axillae in neurofibromatosis patients is called as ?
1. Button hole sign
2. Osler's sign
3. Darrier's sign
4. Crowe's sign

Correct answer: 4. Crowe's sign

Explanation: Crowe's sign: In Neurofibromatosis freckling occurs frequently in the axillae. Osler's sign: scleral discoloration in Alkaptonuria. Button hole sign: In type 1 neurofibromatosis